Treatment for mild ptosis is -
1. fasanella servat operation
2. Levator resection
3. Frontalis sling operation
4. Everbusch's operation

Correct answer: 1. fasanella servat operation

Explanation: Also known as tarsoconjuctivomullerectomy. Upper lid is everted and upper tarsal border along with its attached muller muscle and conjuctiva is resected. Ref : ak khurana 6th edition REF IMG